All take part in anastomosis in little's area except: (Repeat)
1. Post ethmoid artery
2. Anterior ethmoid artery
3. Sphenopalatine artery
4. Greater palatine artery

Correct answer: 1. Post ethmoid artery

Explanation: Ans: A (Post ethmoid artery) Ref: Diseases of the Ear Nose and Throat by PL Dhingra 5th edn .2010.page 190Explanation:Kiesselbach's plexus is situated in the Little's area which is the anterior inferior part of the septumAnterior ethmoidal, septal branch of superior labial, greater palatine and sphenopalatine arteries for the plexus (See figure on the next page}